What is the amount of trisodium citrate dihydrate in WHO ORS ?
1. 1.5 gm
2. 2.5 gm
3. 2.9 gm
4. 3.9 gm

Correct answer: 3. 2.9 gm